The extension of anterior lingual border of mandibular denture is limited by?
1. Mylohyoid
2. Geniohyoid
3. Genioglossus
4. Digastric

Correct answer: 3. Genioglossus